Tzank test' is positive in the following, except:
1. Herpes Zoster
2. EBV
3. Herpes Simplex
4. Varicella

Correct answer: 2. EBV

Explanation: EBV